Primary prevention in coronary heart diseases ?
1. Exercise in high risk area
2. BP monitoring
3. Salt restriction
4. All

Correct answer: 4. All

Explanation: Ans. is 'a' i.e., Exercise in high risk area; 'b' i.e., BP monitoring; 'c' i.e., Salt restriction In primary prevention action is taken prior to the development of disease, but risk factor is present. So, modification of risk factor is primary prevention ---> Exercise (to modify sedentary habits) BP monitoring (to modify and control hypertension) Salt restriction (To modify dietry habits of high salt intake) Statins (to treat hypercholesterolemia, a risk factor for CHD) o You must be thinking that treatment of a disease is secondary level of prevention, then why I have given statins as primary level of prevention ? o This is tricky situation. o Your thinking is right, i.e. treatment is secondary prevention, but here we are treating hypercholesterolemia by statin, which is a risk factor for CHD. We are not treating CHD. So, we are modifying a risk factor for CHD. So, Treatment of hypercholesterolemia by statin --) Secondary prevention for hypercholesterolemia. Treatment of hypercholesterolemia by statin Primary prevention for CHD (If person has not developed CHD yet).